After 3 weeks of percutaneous transhepatic cholangiography a patient presented with pain upper abdomen, melena and jaundice. Best investigation for this patient should be:
1. CECT
2. MRI
3. PET
4. Angiography

Correct answer: 4. Angiography

Explanation: The case is classical presentation of HEMOBILIA. The most common predisposing factor is PTC. . Investigation of choice for diagnosis - ANGIOGRAPHY RX:Conservative management in most patients ANGIOGRAPHY + EMBOLIZATION- for rest of patients.